All of the following are true about Praziquantal except:
1. It is the drug of choice for intestinal taenia solium infection
2. It is the drug of choice for schistosomiasis
3. It increases the permeability for calcium ions and lead to flaccid paralysis of helminths
4. Side effects include myalgia and arthralgia

Correct answer: 3. It increases the permeability for calcium ions and lead to flaccid paralysis of helminths

Explanation: Praziquantal  increases entry of calcium ions and causes "spastic paralysis"